All are features of optic nerve injury except ?
1. Decreased acuity
2. Decreased colour vision
3. RAPD
4. Intact contrast sensitivity

Correct answer: 4. Intact contrast sensitivity

Explanation: Ans. is 'd' i.e., Intact contrast sensitivity Signs of optic nerve damage are as follows: Visual acuity is usually reduced markedly. Colour vision is often severely impaired. Pupil shows ill-sustained constriction to light. Marcus Gunn pupil which indicates relative afferent pupillary defect (RAPD) is a diagnostic sign. It is detected by the swinging flash light test. Visual field changes. The most common field defect in optic neuritis is a relative central or centrocaecal scotoma. Contrast sensitivity is impaired. Visually evoked response (VER) shows reduced amplitude and delay in the transmission time.